There are low many pairs of spinal nerves
1. 28
2. 30
3. 31
4. 33

Correct answer: 3. 31

Explanation: Spinal nerves: spinal nerve arise in pairs 8 cervical 12 thoracic 5 lumbar 5 sacral 1 coccygealEach spinal nerve arises by a series of dorsal and ventral merve roots. these rootlets unite in or near the intervertebral foramen to form spinal nerveBD CHAURASIAS HUAMAN ANATOMY Sixth edition Volume 3